Therapeutic level of phenytoin is:
1. 0-9 mu g/ml
2. 10-19 mu g/ml
3. 20-29 mu g/ml
4. 30-39 mu g/ml

Correct answer: 2. 10-19 mu g/ml

Explanation: Ref: Katzung 11/e p404 The therapeutic level of phenytoin is 10-20 micro g/ml.